Not a complication of orbital cellulitis
1. Exposure keratopathy
2. Optic neuritis
3. Subperiosteal abscess
4. Retinal detachment

Correct answer: 4. Retinal detachment

Explanation: Retinal detachment is not a complication of orbital cellulitis Orbital Cellulitis Inflammation of orbital septum Complications Exposure keratopathy Compression of optic nerve Central retinal artery occlusion Orbital Abscess Intracranial spread of infections Septicemia